A drug with plasma half life of 12 hours is administered twice a day. A drug with plasma half life of 12 hours is administered twice a day. Steady state plasma concentration reached is 300 mg/dl. Which of the following statements about this drug is not true?
1. Plasma concentration will be approximately 260 mg/d1 after three half lives of initiation of therapy
2. Intravenous administration will always achieve a higher concentration than oral route
3. After changing the dose, plasma concentration should be measured after 3 days
4. Doubling the dose, will double the plasma concentration after 3 days

Correct answer: 2. Intravenous administration will always achieve a higher concentration than oral route

Explanation: Ans. is 'b' i.e., Intravenous administration will always achieve a higher concentration than oral route